When a surgeon wants to send the autopsy specimen for virological examination, it should be preserved in
1. 50% glycerin
2. 10% formalin
3. Rectified spirit
4. Saturated solution of common salt

Correct answer: 1. 50% glycerin

Explanation: SpecimenPreservativeVisceraRectified spirit or saturatedsolution of common saltBrain forrabies50% glycerolREF; THE SYNOPSIS OF FORENSIC MEDICINE: KS NARAYANA REDDY;